Lanugo hair appears at:
1. 4 months
2. 5 moths
3. 6 months
4. 7 months

Correct answer: 1. 4 months

Explanation: (4 months) (43-Dutta 6th) (2154-Nelson 17th)* At 16th week (4 month) lanugo (downy thin colourless hairs) appears but near term almost completely disappears.The homy layer of epidermis is absent before 20th week.